True about parosteal osteosarcoma -
1. Same prognosis as medullary type
2. Never go to medulla
3. May involve medulla
4. All of the above

Correct answer: 3. May involve medulla

Explanation: This question is quite different from previous one.
Though medullary cavity is not involved in parosteal osteosarcoma, some dedifferentiated type (grao sarcoma may involve medullary cavity. -- DD of bone tumor.